Which of the following drugs does not act by blocking GpIIb/IIIa receptors?
1. Abciximab
2. Eptifibatide
3. Tirofiban
4. Clopidogrel

Correct answer: 4. Clopidogrel

Explanation: Clopidogrel inhibits ADP receptors whereas Abciximab, Tirofiban and Eptifibatide are GP IIb/IIIa antagonists.